Which of the following is a REM phase disorder
1. Somnambulism
2. Somnoliqsy
3. Night mares
4. Night terrors

Correct answer: 3. Night mares

Explanation: "Night mares" is a REM phase disorders.
"Night terrors" is a NREM phase disorders.